Diaphragmatic hernia can occur through all the following, Except :
1. Esophageal opening
2. Costovertebral triangle
3. Costal & sternal attachment of diaphragm
4. Inferior vena cava opening

Correct answer: 4. Inferior vena cava opening

Explanation: D i.e. Inferior Vena Cava Opening Venacaval openings are not the site of diaphragmatic herniationQ